True about Acrodermatitis enteropathica is?
1. Lifelong treatment required
2. Autosomal dominant disorder
3. Wound healing is not affected
4. Zinc absorption is normal

Correct answer: 1. Lifelong treatment required

Explanation: ANSWER: (A) Lifelong treatment requiredREF: Rook's 8rh ed p. 59.73Acrodermatitis enteropathica:Rare autosomal recessive diseaseZinc absorption is lowDisease starts at weaning when child is not given milkPhotophobia is seen, vescicobullous lesions may be seenGrowth is retarded and wound healing is poorZinc sulfate is used for treatment , prolonged therapy up to adult age is necessary, continuous supplementation of zinc is necessaryA single dose of zinc cures all clinical manifestations